Axon hillock is a part of the soma of neuron which
1. Has dense Nissl granules
2. Has no Nissl granules
3. Is at commencement of dendrites
4. Is round in shape

Correct answer: 2. Has no Nissl granules